Which is FALSE about horse-shoe kidney:
1. Spider like appearance in NP
2. Ureteral obstruction is common
3. Lower calyx reversed
4. Not a contraindication to pregnancy

Correct answer: 1. Spider like appearance in NP

Explanation: Ans. A i.e. Spider like appearance in IVP